The root completion of permanent teeth is achieved
after _________ years of eruption:
1. 1 - 1 ½
2. 3-Feb
3. 4-Mar
4. 5-Apr

Correct answer: 2. 3-Feb